Cardiac myxoma most common seen in ?
1. Right Atrium
2. Right Ventricle
3. Left Atrium
4. Left Ventricle

Correct answer: 3. Left Atrium

Explanation: Ans. is 'c' i.e., Left AtriumCardiac myxomasMost common primary tumor of the adult heart.Benign neoplasms thought to arise from primitive multipotentmesenchymal cells.Familial syndromes associated with myxomas have activating mutations in the GNAS1 gene, encoding a subunit of G protein (Gsa) (in association with McCune-Albright syndrome) or null mutations in PRKAR1A, encoding a regulatory subunit of a cyclic-AMP- dependent protein kinase (Carney complex).About 90% of myxomas arise in the atria, with a left-to-right ratio of approximately 4 : 1.